Direct standardisation is used to compare mortality data of two countries. This is done because of difference in
1. Causes of deaths
2. Numerators
3. Denominators
4. Age distribution

Correct answer: 4. Age distribution

Explanation: If we want to compare the death rates of two populations with different age-composition, the crude death rate is not the right yardstick This is because rates are only comparable if the populations upon which they are based ae comparable.It is cumbersome to use a series of age-specific death rates, hence 'age standardization' is used to remove the confounding effect of different age groups.Park 23epg: 59